Dose of Rabies immunoglobulin is?
1. 10 IU/Kg body weight
2. 15 IU/kg body weight
3. 20 IU/kg body weight
4. 25 IU/kg body weight

Correct answer: 3. 20 IU/kg body weight

Explanation: Anti rabies serum is given in class III bites (Single or multiple transdermal bites or scratches, licks on broken skin, Contamination of mucous membranes with aalvia, exposure to bats)
It is found to prolong the incubation period.
Passive immunization in rabies may be given by :
Horse Anti-rabies serum : 40 IU/kg body wt (upto max 3000 units), infiltrated
in the wound, & the rest given IM

Human Rabies Immunoglobulin : (preferred) 20 IU/kg body wt infiltrated in the wound, & the rest given i.m.